A diabetic patient has black necrotic mass in nose, most likely causes is:
1. Mucormycosis
2. Aspergillus
3. Histoplasmosis
4. Candidiasis

Correct answer: 1. Mucormycosis

Explanation: Ans. is 'a' i.e.Mucormycosis Mucormycosis is a fungal infection of nose and paranasal sinuses which may prove rapidly fatal if untreated.lt is seen in uncontrolled diabetes or in those taking immunosuppressive drugs.Treatment is by amphotericin B* and surgical debridement.Remember :Most common fungal infection of nose is Aspergillosis *Rhinosclerosis is caused by a bacteria Klebsiella * (& not by Rhinosporidium Seeberi, a fungus )Otomycosis is caused by Aspergillosis*